The diluent used for BCG is ?
1. Distilled water
2. Normal saline
3. Dextrose solution
4. Ringer - lactate

Correct answer: 2. Normal saline

Explanation: Ans. is 'b' i.e., Normal saline